What is the ideal hardness of drinking water in mEg/Litre?
1. >3
2. <1
3. 3-Jan
4. >6

Correct answer: 3. 3-Jan

Explanation: Drinking water should be moderately hard. Softening of water is recommended when the hardness exceeds 3 mEq/L (300 mg per litre).